Which of the following finding is suggestive of Bicornuate uterus
1. Intercornual angle < 75°
2. Diverging horns
3. Intrafundal downward cleft < 1 cm
4. Hysteroscopic resection is treatment

Correct answer: 2. Diverging horns

Explanation: All other options are suggestive of septate uterus.